In atopic dermatitis, all are seen Except
1. Pruritus
2. Eczema
3. Mica like scales
4. Lichenification

Correct answer: 3. Mica like scales

Explanation: Atopic dermatitis is an itchy chronic relapsing condition that starts in early childhood. It has a flexural distribution. Rash characterized by itchy Papules and pappulo-vesicles which become excoriated and lichenified. Associated with family history and in patient with filaggrin mutations, may include ichythosisvulgaris, keratosis pilaris, and hyper-linear palms Mica like scales not seen; they are classical of Pityriasis lichenoides et varioliformis acuta (PLEVA) PLEVA is characterised by red patches that quickly evolve into papules 5-15 mm in diameter. They are often covered with a fine mica-like adherent scale. The centre of the papules often becomes filled with pus and blood or eroded with the overlying red-brown crust. Ref Harrison 20th edition pg 1234